A 62 year old from Wales presently in US develops oliguria and peripheral edema over a period of weeks. Urinalysis reveals hematuria and proteinuria; examination of the urinary sediment reveals red cell casts. Renal biopsy shows many glomerular crescents. This presentation is mostsuggestive of which of the following conditions?
1. Rapidly progressive glomerulonephritis
2. Diabetic nephropathy
3. Hypertensive nephropathy
4. Lupus nephritis

Correct answer: 1. Rapidly progressive glomerulonephritis

Explanation: Rapidly progressive giomeruloephritis